In retinoblastoma, after enucleation, which tissue is sectioned to find out systemic metastasis-
1. Central retinal artery
2. Sclera and episclera
3. Optic nerve
4. Vortex vein

Correct answer: 3. Optic nerve

Explanation: *After enucleation, optic nerve is examined and if it shows tumor invasion, postoperative radiotherapy to the orbital apex and chemotherapy are given. Ref: Khurana 7th/e p.317.